Transport of neutral substances across the cell membrane occurs
1. Porins
2. Lonophore
3. Lipopolysaccharides
4. Diffusion

Correct answer: 4. Diffusion

Explanation: D i.e. DiffusionTransport simple passive diffusion is favoured by small size, lipid solubility (hydrophobicity) absence of charge (neutrality), and absence of polarity (nonpolar nature)Q.